Earliest feature of pulmonary venous hypertension is -
1. Upper lobar vessel dilatation
2. Kerley B Lines
3. Left atrial enlargement
4. Pleural effusion

Correct answer: 1. Upper lobar vessel dilatation

Explanation: Upper lobe venous diversion is the 1st radiological sign of pulmonary venous hypertension.Kerley B Lines , perihilar haze ,peribronchial cuffing,pumonary ossicles ,fine punctuate calcification and perihilar batwing pattern are the other features seen in PVH.